Christmas tree arrangement of skin lesion is seen in?
1. P. versicolor
2. P. rosea
3. P. folliculitis
4. Tineacorporis

Correct answer: 2. P. rosea

Explanation: Ans. (b) P. roseaRef: Rook's 8/e, p 38.81